How will you check the quantitative assessment of liver function -
1. Degree of Transaminases
2. Degree of Alkaline phosphatase
3. Galactose metabolism
4. All the above

Correct answer: 3. Galactose metabolism

Explanation: The determination of the galactose elimination capacity with the method according to Tygstrup is the only test which detects the "functional hepatocyte mass" and thus constitutes a quantitative test for the metabolic function of the liver. In this determination of the maximum hepatic elimination capacity, differences with bilirubin, hemolysis and hyperlipidemia do not occur; reliable results are also obtained in disorders of hepatic secretion. Side-effects from the test substance galactose are not to be expected. It is also possible to determine galactose without difficulty in capillary blood. The i.v. galactose test permits an estimation of the degree of severity of liver diseases and can also be recommended for routine use in the investigation of specific hepatological questions. Ref Davidson edition23rd pg853